Clara cells are seen in
1. Alveoli
2. Bronchus
3. Trachea
4. Bronchiole

Correct answer: 4. Bronchiole